Volume of lung after maximal forceful expiration ?
1. Tidal volume
2. Residual volume
3. Inspiratory reserve volume
4. Expiratory reserve volume

Correct answer: 2. Residual volume

Explanation: Ans. is 'b' i.e., Residual volume